If a claw hand develops in a patient with Leprosy, the deformity is –
1. Grade 0
2. Grade I
3. Grade II
4. Grade III

Correct answer: 3. Grade II

Explanation: Deformities in leprosy
The findings of the examination are first noted in the disability assessment form separately for right and left eyes, hands and feet. Thereafter each eye, each hand and each foot is given its own grade. Deformities are classified into three grades. The criteria are as follows :